MRI is the Investigation of choice for which of the following?
1. Renal stones
2. Renal artery stenosis
3. High grade VUR
4. Renal transplant rejection

Correct answer: 2. Renal artery stenosis

Explanation: Contrast-enhanced MRA is sufficiently sensitive to be used as a screening test for stenosis of the main renal artery. MRA has lower spatial resolution compared with conventional film-based angiography, and therefore the detection of small-vessel abnormalities, such as vasculitis and distal vasospasm, is problematic.